All of the following are Glutanate receptors except
1. Kainate receptors
2. NMDA receptors
3. AMDA receptors
4. AMPA receptors

Correct answer: 3. AMDA receptors

Explanation: There are 3 types of Glutanate receptors

Kainate receptors : Permits Na+ influx and K+ efflux
AMPA receptors : One in simple Na+ channel, other passes Ca2+
NMDA receptors: Permits passage of relatively large amounts pf Ca2+